Adipocere formation is seen in:
1. Dead body exposed to air
2. Dead body buried in damp, clay soil
3. Burial in dry hot air
4. All

Correct answer: 2. Dead body buried in damp, clay soil

Explanation: Ideal condition for adipocere formation are warm (hot) temperature, moisture (humid) & diminution of air e.g. dead body immersed in water or damp soil. Ref ; Narayana reddy 33rd ed.